Procedures which can be carried out in vital pulpotomy is/are:
1. Devitalization.
2. Preservation.
3. Regeneration.
4. All of the above.

Correct answer: 4. All of the above.